Cusp of carabelli is present on _________ surface of the permanent maxillary molar:
1. Mesial surface
2. Palatal surface
3. Buccal surface
4. Mesial half of the palatal surface

Correct answer: 4. Mesial half of the palatal surface